Which of the following is renin inhibitor -
1. Losartan
2. Benazepril
3. Remikiren
4. Imidapril

Correct answer: 3. Remikiren

Explanation: Ans. is 'c' i.e., Remikiren